Pompe's disease is due to deficiency of:
1. Acid maltase
2. Muscle phosphorylase
3. Branching enzyme
4. Debranching enzyme

Correct answer: 1. Acid maltase

Explanation: Pompe's disease is: Type II glycogen storage disease It is the only GSD which is a Lysosomal Storage Disease. Due to deficiency of acid maltase enzyme (also known as Acid a (1 - 4)Glucosidase). This enzyme is present in lysosomes, catalyzes the minor pathway of glycogen breakdown. Patient has: hypertrophic cardiomyopathy progressive skeletal myopathy Death occurs within 2 years due to cardiac failure The muscle biopsy show vacuoles. The treatment for Pompe disease is recombinant enzyme alglucosidase alfa (Myozyme).